Staghorn calculus is made of -
1. Oxalate
2. Phosphate
3. Uric acid
4. Cystine

Correct answer: 2. Phosphate

Explanation: Ans. is 'b' i.e., Phosphate